Which of the following clotting factors are common in both extrinsic and intrinsic pathway:
1. Factor 5,9,10.
2. Factor 5,10.
3. Factor 5,9,10,11.
4. None.

Correct answer: 2. Factor 5,10.